A 70 year old male known case of a certain malignancy presents with elevated erythropoietin levels and PCV of 52%. Most likely tumour is
1. Renal Cell Carcinoma
2. Medullary thyroid carcinoma
3. Gastric Carcinoma
4. Colorectal CA

Correct answer: 1. Renal Cell Carcinoma

Explanation: Answer- A. Renal Cell CarcinomaErythrocytosis (d/t secretion of erythropoietin by RCC) (but anemia is a more common finding)HypertensionAbnormal liver function (Stauffers syndrome ie non metastatic hepatic dysfunction)HypercalcemiaNeuromyopathyAmyloidosisIncreased ESR (MC paraneoplastic syndrome)DysfibrogenemiaGalactorrhoeaFeminization and masculanization